ICDS stands for
1. Integrated child development services
2. Integrated child development scheme
3. International child development services
4. Indian child development scheme

Correct answer: 1. Integrated child development services

Explanation: Integrated Child Development Services (ICDS) scheme- Under ICDS scheme, there is an anganwadi worker for every 400-800 population- The beneficiaries include nursing mothers, pregnant women, other women (15-45 years), children below the age of 6 years and adolescent girls.Park 23e pg: 903